Main site of action of tetanus toxin:
1. Presynaptic terminal of spinal cord
2. Postsynaptic terminal of spinal cord
3. Neuromuscular junction
4. Muscle fibers

Correct answer: 1. Presynaptic terminal of spinal cord

Explanation: Ans. is. a' i. e. Presynaptic terminal of spinal cord